Type two schizophrenia is characterized by all except?
1. Negative symptoms
2. Poor response to TT
3. Disorganized behavior
4. CT scan abnormal

Correct answer: 3. Disorganized behavior

Explanation: Ans. is 'c' i.e., Disorganized behaviour In 1980 T.J. crow proposed a classification of schizophrenia patients into type I and type II on the basis of presence and absence of positive symptoms.Although the system was not accepted as part of the DSMIV classification, the clinical distinction of two types has significantly influenced psychiatric research.Type IType IIPresence of positive symptoms i.e. hallucinations, delusions, bizarre behaviour, confused thinking.Acute onset: the patient functioned well before the appearance of symptoms. Social behaviour is reasonably intact between the acute attacks.Responds very well to antipsychotic medication. Normal CT scanPresence of Negative symptoms i.e. poverty of speech, emotional unresponsiveness reclusiveness, impaired attention.Chronic onset: poor history of social and educational functioning prior to the onset.Unresponsive to antipsychotic medication.Believed to be due to structural brain defect. Associated with abnormal CT scan* A third category, disorganized schizophrenia includes-Disorganized speechDisorganized behaviourCognitive defects and attention deficits.